Low maternal serum 25-hydroxyvitamin D is associated with all of the following pregnancy and neonatal outcomes, EXCEPT:
1. Gestational Diabetis
2. Pre-eclampsia
3. Caesarian Section
4. Smal for Gestational Age Neonate

Correct answer: 3. Caesarian Section

Explanation: Vitamin D insufficiency is associated with an increased risk of gestational diabetes, pre-eclampsia, and small for gestational age infants. Pregnant women with low 25-OHD levels had an increased risk of bacterial vaginosis and lower birth weight infants, but not delivery by caesarean section. Note: This is an important new question. Ref: Association between maternal serum 25-hydroxyvitamin D level and pregnancy and neonatal outcomes: systematic review and meta-analysis of observational studies, BMJ 2013; 346, Published 26 March 2013.